Sphagetti and meat ball appearance is seen in ?
1. Pityriasis rosacae
2. Tinea capitis
3. Tinea carporis
4. Tinea versicolor

Correct answer: 4. Tinea versicolor

Explanation: Ans. is 'd' i.e., Tinea versicolo Pitvriasis versicolor (tinea versicolor) Tinea versicolor is a misnomer as it is not caused by a dermatophyte; it is caused by a nondermatophytic fungus called Pityrosporum ovale (malasezia furfur). Usually affects young adults. Clinical features There are multiple scaly hypopigmented (more common) or hyperpigmented macules. Scaling is fufuraciousor rice powder like. Macules start around the hair follicles and they merge with each other to form large areas. Affects trunk and shoulders (mainly chest and back). There may be loosening of scales with finger nails- coupled onle or stroke of nail. Lesions are recurrent in nature. Diagnosis Examination of scales in 10% KOH shows short hyphae and round spores (sphagetti and meat ball appearance). Wood's lamp shows apple green fluorescence(blue-green fluorescnce). Skin surface biopsy - a cyanoacrylate adhesive is used to separate the layer of stratum corneum on glass slide and then stained with PAS reagent. Treatment Systemic agents :- systemic azoles provide convenient therapeutic option. Drugs used are ketokonazole, fluconazole or iatroconazole Topical antifungals used are ? Azoles clotrimazole, econazole, miconazole, ketoconazole Others :- selenium sulphide, sodium thiosulphate, whitefield's ointment (3% salicylic acid + 6% benzoic acid).